Patients with Down's syndrome normally have:
1. IQ score above 80
2. Brachycephalic skull
3. Stiff muscles
4. All of the above

Correct answer: 2. Brachycephalic skull